Koplik spot is pathognomic of which infection -
1. Rubella
2. Influenza
3. Mumps
4. Measles

Correct answer: 4. Measles

Explanation: Ans. is 'd' i.e., Measles Measleso Measles is caused by a RNA virus of paramyxovirus family,o Measles in also known as rubeola.o The only source of infection is a case of measles, carriers are not known to occur.o Infective period-4 days before and 5 days after the appearance of rash.o Infective material-Secretions of nose, throat and respiratory tracto Age group-6 month to 3 years.o Immunity-One attack of measles generally confer life long immunity'.o Transmission-1) Droplet infection through respiratory' tract2) Infection through conjuctiva.o Incubation period-10 days from exposure to onset of fever.14 days from exposure to appearance of rash.7 days for live vaccine of measles.o Clinical manifestationsProdromal stageBegins 10 days after the infection and lasts until day 14.Characterized by fever, coryza with sneezing and nasal discharge, redness of the eyes, lacrimation and photophobia.A day or two before the appearance of rash, Koplik's spots appear on buccal mucosa opposite the 1st and 2nd lower molars.Koplik's spots are pathognomonic of measles.Eruptive phaseMaculopapufar rash which begins behind the ear and spread rapidly in a few hour over the face and neck extends down the body.Post measles stagey Weight lossy Growth retardationy Diarrheay Cancrum orisy Reactivation of pulmonary TBy Candidiasis